Antibodies in ITP are:
1. IgG
2. IgM
3. IgE
4. IgD

Correct answer: 1. IgG

Explanation: Ans. (a) IgG(Ref: Robbins 9th/pg 205-206)Antibodies in Immune thrombocytopenic purpura are of IgG type directed against gp Ib/IX and IIb/IIIa.These antibodies cause Type II hypersensitivity reaction.